Anti endomysial antibody is seen in?
1. Celiac disease
2. SLE
3. Collagenous colitis
4. Tropical sprue

Correct answer: 1. Celiac disease

Explanation: ANSWER: (A) Celiac diseaseREF: Harrisson 17th edition, Chap. 288 & Table 308-12Repeat in December 2009See APPENDIX-51 below for "AUTOANTIBODIES"Asymptomatic celiac disease with selective malabsorption is beingfound with increasing frequency; the diagnosis can be made by testing for antigliadin, antiendomysial, or transglutaminase antibodies but may require endoscopic biopsy. A trial of a gluten-free diet can be confirmatory. APPENDIX - 51AutoantibodiesAutoantigenAutommune DiseasesCell- or Organ-specific Autoimmunity Acetylcholine receptorMyasthenia gravisActinChronic active hepatitis, primary bilary cirrhosisAdenine nucleotide translator [ANT)Dilated cardiomyopathy, myocarditisAdrenoreceptorDilated cardiomyopathyAromatic L-amino acid decarboxylaseAutoimmune polyendocrine syndrome type 1 (APS-1)Asialoglycoprotein receptorAutoimmune hepatitisBactericidal/permeability-increasing protein (Bpi)Cystic fibrosis vasculitidesCalcium-sensing receptorAcquired hypoparathyroidismCholesterol side-chain cleavage enzyme (CYPlla)Autoimmune polyglandular syndrome-1Collagen type IV-3-chainGoodpasture syndromeCytochrome P450 2D6 (CYP2D6)Autoimmune hepatitisDesminCrohn disease, coronary artery diseaseDesmoglein 1Pemphigus foliaceusDesmoglein 3Pemphigus vulgarisF-actinAutoimmune hepatitisGM gangliosidesGuillain-Barre syndromeGlutamate decarboxylase (GAD65)Type 1 diabetes, stiff man syndromeGlutamate receptor (GLUR)Rasmussen encephalitisH/KATPaseAutoimmune gastritis17-- Hydroxylase (CYP17)Autoimmune polyglandular syndrome-121-Hydroxylase (CYP21)Addison diseaseLA-2 (ICA512)Type 1 diabetesinsulinType 1 diabetes, insulin hypoglycemic syndrome (Hirata disease)Insulin receptorType B insulin resistance, acanthosis, systemic lupus erythematosus (SLE)Intrinsic factor type 1Pernicious anemiaLeukocyte function-associated antigen (LFA-1)Treatment-resistant Lyme arthritisMyelin-associated glycoprotein (MAG)PolyneuropathyMyelin-basic proteinMultiple sclerosis, demyelinating diseasesMyelin oligodendrocyte glycoprotein (MOG)Multiple sclerosisMyosinRheumatic feverp-80-CollinAtopic dermatitisPyruvate dehydrogenase complex-E2 (PDC-E2)Primary biliary cirrhosisSodium iodide symporter (NIS)Graves' disease, autoimmune hypothyroidismSOX-IOVitiligoThyroid and eye muscle shared proteinThynroid-associated ophthalmopathyThyroglobulinAutoimmune thyroiditisThyroid peroxidaseAutoimmune Hashimoto thyroiditisTbrotropin receptorGraves' diseaseTissue transglutaminaseCeliac diseaseTranscription coactivator p75Atopic dermatitisTryptophan hydroxylaseAutoimmune polyglandular svndrome-1TyrosinaseVitiligo, metastatic melanomaTyrosine hydroxylaseAutoimmune polyglandular syndrome-1Systemic Autoimmunity ACTHACTH deficiencyAminoacyl-tRAN histidyl synthetaseMyositis, dermatomyositisAminoacyl-tRNA synthetase (several)Polymyositis, dermatomyositisCardiolipinSLE, Anti- phospholipid syndromeCarbonic anhydrase IISLE, Sjogren syndrome, systemic sclerosisKu-nucleoproteinConnective tissue syndromeLa phosphoprotein (La 55-B)Sjogren syndromeCollagen (multiple types)Rheumatoid arthritis (RA), SLE, progressive systemic sclerosisCentromere-associated proteinsSystemic sclerosisDNA-dependent nucleosine-stimulated ATPaseDermatomyositisFibriUarinSclerodermaFibronectinSLE, RA, morpheaGIucose-6-phosphate isomeraseRA2-Glycoprotein I (B2-GPI)Primary antiphospholipid syndromeGolgin (95, 97,160,180)Sjogren syndrome, SLE, RAHeat shock proteinVarious immune-related disordersHemidesmosomal protein 180Bullous pemphigoid, herpes gestationis, cicatricial pemphigoidHistone H2A-H2B-DNASLEIgE receptorChronic idiopathic urticariaKeratinRAKu-DNA-protein kinaseSLEMyeloperoxidaseNecrotizing and crescentic glomerulonephritis (NCGN), systemic vasculitisProteinase 3 (PR3)Wegener granulomatosis, Churg-Strauss syndromeRNA polymerase I-III (RNP)Systemic sclerosis, SLESignal recognition protein (SRP54)PolymyositisTopoisomerase-1 (Scl-70)Scleroderma, Raynaud syndromeTublinChronic liver disease, visceral leishmaniasisVimentinSystemic autoimmune diseasePlasma Protein and Cytokine Autoimmunity Cl inhibitorAutoimmune Cl deficiencyClqSLE, membrane proliferative glomerulonephritis (MPGN)Cytokines (IL-1, IL-1, IL-6, IL-10, LIF)RA, systemic sclerosis, normal subjectsFactor II, factor V, factor VII, factor VIII, factor IX, factor X, factor XI, thrombin VwfProlonged coagulation timeGlycoprotein Ilb/IIIg and Ib/IXAutoimmune thrombocytopenia purpuraIgAImmunodeficiency associated with SLE, pernicious anemia, thyroiditis, Sjogren's syndrome and chronic active hepatitisOxidized LDL (OxLDL)AtherosclerosisCancer And Paraneoplastic Autoimmunity AmphiphysinNeuropathy, small-cell lung cancerCyclin B1Hepatocellular carcinomaDNA topoisomerase IILiver cancerDesmoplakinParaneoplastic pemphigusGephyrinParaneoplastic stiff man syndromeHu proteinsParaneoplastic encephalomyelitisNeuronal nicotinic acetylcholine receptorSubacute autonomic neuropathy, cancerp53Cancer, SLEp62 (IGF-II mRNA-binding protein)Hepatocellular carcinoma (China)RecoverinCancer-associated retinopathyRi proteinParaneoplastic opsoclonus myoclonus ataxiaIV SpectrinLower motor neuron syndromeSynaptotagminLambert-Eaton myasthenic syndromeVoltage-gated calcium channelsLambert-Eaton myasthenic syndromeYo proteinParaneoplastic cerebellar degeneration